Most common type of VSD-
1. Membranous
2. Muscular
3. Multiple
4. None

Correct answer: 1. Membranous

Explanation: Ans. is 'a' i.e., Membranous Ventricular septa! defect (VSD) VSD is the most common congenital cardiac lesion. o VSD is a communication between two ventricles. o VSD may be lecated at : - i) vMembranous part of ventricular septum (most common --> 90%) ii) Muscular septum iii) May be multiple